Bezold's abscess is located in -
1. Submandibular region
2. Sternomastoid muscle
3. Digastric triangle
4. Infratemporal region

Correct answer: 2. Sternomastoid muscle